Epiploic foramen provides communication between greater and lesser sacs. The length of the epiploic foramen is:
1. 5 cm
2. 6 cm
3. 4 cm
4. 3 cm

Correct answer: 4. 3 cm

Explanation: The greater and lesser sacs communicate with each other through the epiploic foramen (of Winslow). The foramen is about 3 cm in size and situated opposite the 12th thoracic vertebra. Ref: Morton D.A., Foreman K.B., Albertine K.H. (2011). Chapter 8. Serous Membranes of the Abdominal Cavity. In D.A. Morton, K.B. Foreman, K.H. Albertine (Eds), The Big Picture: Gross Anatomy.